The combination of main supporting enzyme is called
1. Apoenzyme
2. Coenzyme
3. Holoenzyme
4. Constitutive enzyme

Correct answer: 3. Holoenzyme